Which of the following drugs can cause Disulfiram like reaction
1. Griseofulvin
2. Procarbazine
3. Chlorpropamide
4. All of the above

Correct answer: 4. All of the above

Explanation: Drugs causing "Disulfiram like reaction"

Griseofulvin
Tinidazole
chlorpropamide
Metronidazole
Procarbazine
Nitrofurantoin
Cefoperazone.